VLDL is formed in ?
1. Intestine
2. Liver
3. From chylomicrons
4. Blood

Correct answer: 2. Liver

Explanation: Ans. is 'b' i.e., Liver